Haemaochromatosis is defined as:
1. Syndrome caused by deficient iron absorption
2. Syndrome caused by increased iron excretion
3. Syndrome caused by iron deficiency in diet
4. Syndrome caused by systemic iron overload

Correct answer: 4. Syndrome caused by systemic iron overload

Explanation: Ans. D i.e. Syndrome caused by systemic iron overload Hemochromatosis It is the abnormal accumulation of iron in parenchymal organs, leading to organ toxicity. It is the most common autosomal recessive genetic disorder and The most common cause of severe iron overload.